As per WHO classification of immunosuppression, how much is the CD4 level in HIV/AIDS children with severe stage in age group of 36 - 59 months:
1. <35%
2. <25%
3. <20%
4. <15%

Correct answer: 4. <15%

Explanation: d. <15%(Ref: Nelson's 20/e p 1645-1665, Ghai 8/e p 229-237, CDC guidelines 2014)Severity of immune suppression based on CD4 levels childrenHIV-associated immunodeficiencyAge-related CD4 + cell values<= 11 month12-35 month36-59 month>= 5 yearMild30-35%25-30%20-25%350-499cells/mm3Advanced25-30%20-25%15-20%200-349cells/mm3Severe<25% or <1500cell/mm3<20% of <750cells/mm3<15%or<350cells/mm3<200cells/mm3 or <15%WHO 2016 recommendations for HIV treatment:ART should be initiated in all children living with HIV, regardless of WHO clinical stage or CD4 count;As a priority, ART should be initiated in all children <=2 yrs of age or children 5 yrs age with WHO clinical stage 3 or 4 or CD4 count <=750cells/mm3 or CD4 percentage <25%, and children >=5 yrs with WHO HIV clinical stage 3 or 4 disease or CD4 count <=350cells/mm3